In a population of 100000, hemoglobin of 100 women is estimated with standard deviation of 2gm%. What is the standard error -
1. 1
2. 0.1
3. 2
4. 0.2

Correct answer: 4. 0.2

Explanation: Ans. is 'd' i.e., 0.2